In the absence of pregnancy, the corpus luteum functions for how many days :
1. 8 to10
2. l0 to 12
3. 12 to 14
4. 18 to 20

Correct answer: 3. 12 to 14

Explanation: 12 to 14